Proteus organisms cause
1. Struvite stones
2. Calcium oxalate stones
3. Cystine stones
4. Xanthine stones

Correct answer: 1. Struvite stones

Explanation: (A) Struvite stones # STRUVITE STONE: A phosphate calculus is smooth and dirty white. It tends to grow in alkaline urine, especially when urea splitting Proteus organisms are present. As a result, the calculus may enlarge to fill most of the collecting system, forming a staghorn calculus.# TYPES OF RENAL CALCULUS:> Calcium oxalate calculus: Most common; they have hard, small and jagged surface> Uric acid and urate calculus: these are radiolucent> Cystine stones: uncommon, seen in cystinuria; appear only in acid urine; they are pink to yellow when first removed but they change colour to a greenish hue when exposed to air.> Xanthine calculi: are radiolucent; Most common symptom of renal calculi is Pain.